Ambivalence is most commonly associated with
1. Depression
2. Generalized anxiety disorder
3. Schizophrenia
4. OCD

Correct answer: 3. Schizophrenia

Explanation: Eugen Bleuler's Fundamental Symptoms of Schizophrenia (Also called as 4 A's of Bleuler) 1. Ambivalence: Marked inability to decide for or against2. Autism: Withdrawal into self3. Affect disturbances: Disturbances of affect such as inappropriate affect4. Association disturbances: Loosening of associations; thought disorder Ref: A Short Textbook of Psychiatry, Niraj Ahuja, 7th Edition, pg. no.55